Pterygium of the nail is seen in
1. Lichen planus
2. Psoriasis
3. Tinea unguium
4. Alopecia areata

Correct answer: 1. Lichen planus

Explanation: Pterygium of the nail is classically seen in lichen planus: Pterygium unguis (also known as "Dorsal pterygium") forms as a result of scarring between the proximal nailfold and matrix, with the classic example being lichen planus, though it has been reported to occur as a result of sarcoidosis and Hansen's disease Ref Harrison 20th edition pg 1234